Cytosolic cytochrome C plays an important function in -
1. Apoptosis
2. Cell necrosis
3. Electron transport chain
4. Cell division

Correct answer: 1. Apoptosis

Explanation: Ans. is 'a' i.e. ApoptosisMechanism ofApoptosiso Apoptosis is induced by a cascade of molecular events that may be initiated in distinct ways but culminate in the activation of caspases.o Caspases are central to the pathogenesis of apoptosiso The process of apoptosis is divided into two phasesi) Initiation phase --> During this phase caspases become catalytically activeii) Execution phase --> During this phase caspases act to cause cell death.